Full form of SCIWORA is:
1. Spinal cord injury with radiographic abnormality
2. Spinal cord injury with radiographic aberration
3. Spinal cord injury without radiographic aberration
4. Spinal cord injury without radiographic abnormality

Correct answer: 4. Spinal cord injury without radiographic abnormality

Explanation: Answer- D. Spinal cord injury without radiographic abnormalitySCIWORA (Spinal Cord Injury Without Radiographic Abnormality) was first developed and ,introduced by Pang and Wilberger who used it to define 'clinical smyptoms of traumatic myelopathy with no radiographic or computed tomographic featutes of spinal fracture or instability.